Diameter of the bristle of the soft toothbrush is:
1. 0.075 mm
2. 0.2 mm
3. 0.3 mm
4. 0.4 mm

Correct answer: 2. 0.2 mm